Febuxostat is used for?
1. HyperKalemia
2. Hyperuricemia
3. Hypernatremia
4. Hypercalemia

Correct answer: 2. Hyperuricemia

Explanation: Ans. (b) HyperuricemiaRef.-.Harrison's 18/e, ch 333